Insulin stimulated glucose entry in seen in-
1. Cardiac muscles
2. Smooth muscles
3. Brain
4. Intestines

Correct answer: 1. Cardiac muscles

Explanation: Insulin stimulated glucose entry in seen in Cardiac muscles. Name Location Features GLUT-1 & GLUT-3 Brain, RBC, placenta Concerned with basal uptake of glucose GLUT-2 Liver, kidney, b-cells of pancreas Allows both entry & release of glucose GLUT-4 Skeletal muscles, adipocytes, cardiac muscles Insulin dependent transporter GLUT-5 Spermatozoa, testis, intestines Transports fructose